Most sensitive test for organophosphate poisoning:
1. Plasma acetylcholinesterase
2. OP level in blood
3. OP level in urine
4. OP level in lavage

Correct answer: 1. Plasma acetylcholinesterase

Explanation: (Ref: Goodman & Gillman 13th ed. P 170)The diagnosis of organophosphate poisoning can be made with the help of history of exposure and characteristic cholinergic signs and symptoms.In suspected cases of milder or chronic poisoning determination of plasma cholinesterase activities in erythrocytes and plasma establishes the diagnosis. It the most sensitive test.Symptoms of organophosphate poisoning:# Salivation, Lacrimation, Urination, Diarrhea, GI distress, Emesis, Fasciculation, Bradycardia, Pinpoint pupil (Mn: SLUDGE-FBP).Antidote of OP poisoning: Atropine (2-4mg IV or 2mg IM - repeated every 10-15 minutes till atropinization).AchE reactivators:# Pralidoxime (2-PAM), Obidoxime: Action seen peripherally only (1-2mg IV slow infusion. If symptom persists - repeat the dose)# Diacetylmonoxime (DAM): Action seen both peripheral and central.